An infant develops a cough and fever. The X-ray examination is suggestive of bronchopneumonia. All of the following viruses can be the causative agent except –
1. Parainfluenza viruses
2. Influenza virus A
3. Respiratory syncytial virus
4. Mumps virus

Correct answer: 4. Mumps virus

Explanation: The peak attack for viral pneumonia is between the age of 2nd and 3rd years and decrease thereafter.

Viruses causing pneumonia are -

RSV
Influenza
Adenovirus
Rhinovirus
Parainfluenza virus